Providing 'Limited information' as part of therapy process is part of which of the following therapy?
1. ERP
2. PLISSIT
3. DBT
4. BEBT

Correct answer: 2. PLISSIT

Explanation: PLISSIT model of therapy is useful in sexual dysfunction management. The components of PLISSIT model are: P - Permission LI - Limited Information SS - Specific Suggestions IT - Intensive Therapy